Gerlach tonsil is
1. Palatine tonsil
2. Lingual tonsil
3. Tubal tonsil
4. Nasopharyngeal tonsil

Correct answer: 3. Tubal tonsil

Explanation: A collection of lymphoid tissue is present in the nasopharynx, behind the tubal opening. It is called the tubal tonsil, also known as Gerlach tonsil. It is continuous with the lateral part of the pharyngeal tonsil. In Waldeyer's lymphatic ring, the most important aggregations are the right and left palatine tonsils. Posteriorly and above there is the pharyngeal tonsil; laterally and above there are the tubal tonsils, and inferiorly there is the lingual tonsil over the posterior part of the dorsum of the tongue. Ref: BD Chaurasia's HUMAN ANATOMY, Volume 3, 4th edition.